White pupillary reflex is seen in:
1. Retinoblastoma
2. Complete retinal detachment
3. Endophthalmitis
4. All of the above

Correct answer: 4. All of the above

Explanation: Ans. All of the above